A single force is applied to the crowns of the upper incisors.
Tipping is around the point of rotation present at:
1. Infinity
2. Apical 1/3rd
3. middle 1/3rd
4. Coronal 1/3rd

Correct answer: 2. Apical 1/3rd